A patient presented with 2 days history of fever. On examination there was a swelling in the neck and one side tonsil was pushed to midline. What is the most likely diagnosis:-
1. Quinsy
2. Parapharyngeal abscess
3. Retropharyngeal abscess
4. Tonsillitis

Correct answer: 2. Parapharyngeal abscess

Explanation: In the history of the patient it's given that the tonsil is pushed to the midline and there is a swelling in the neck, this is the typical clinical picture of parapharyngeal abscess. Option A: in the case of quinsy H/O seven pain in throat, odynophagia (difficulty in swallowing) is given & the tonsils an enlarged congested reaching midlineHot potato voice/muffled voice- Quinsy- Para pharyngeal abscess- Acute epiglottitis